Which of the following is epitheloid type of nevus cell:
1. Type A
2. Type B
3. Type C
4. None.

Correct answer: 1. Type A

Explanation: Type B are lymphocyte like.
Type C are spindle shaped.